According to ICD 10, the symptoms of schizophrenia should persist for how long for its diagnosis?
1. 2 months
2. 1 month
3. 6 months
4. 2 weeks

Correct answer: 2. 1 month

Explanation: According to recent ICD 10, It is 1 month and according to DSM 5 it is 6 months to diagnose schizophrenia Ref: Essentials of postgraduate psychiatry By JN Vyas 1st ed Pg 365